Meningococci differ from gonococci as they:
1. Are intracellular
2. Possess a capsule
3. Causes fermentation of glucose
4. Are oxidase positive

Correct answer: 2. Possess a capsule

Explanation: Characteristics Neisseria gonorrhoeae Neisseria meningitidis 1 Referred Gonococcus Meningococcus. 2 Vaccine Development No Serogroup A, B, C, Y and W-135 meningococcal infections can be prevented by vaccines. 3 Colony Morphology Smooth, round, moist, uniform grey/brown colonies with a greenish colour Smooth, round, moist, uniform large grey/brown colonies with a glistening surface and entire edges. 4 Morphology Kidney shaped with apposing ends concave. Semicircular ,diplococcus with flat apposing ends. 5 Autolyse May autolyse Autolyse 6 Maltose Fermentation No Yes 7 Nitrite Reduction Doesn't reduce nitrites. Reduce nitrites 8 Capsule No Yes (anti-phagocytic) 9 Site of Infection Infection of the anogenital tract. Colonizes the upper respiratory tract as a commensal 10 Pathogens Always a pathogen Not always considered as pathogens 11 Enzyme Production Doesn't produce gamma-glutamylaminotransferase. Produces gamma-glutamylaminotransferase. 12 Specimen Collection Transport swab of endocervix, urethra, rectum, pharynx, conjunctiva, blood, joint fluid, aspirates from skin lesions. Collect cerebrospinal fluid (CSF) and blood, swab skin lesions and nasopharynx. 13 B-Lactamase Production Common Rare 14 Prevalence and Mortality High prevalence and low mortality Low prevalence and high mortality. 15 Superbug Considered as "superbug" Not considered as "superbug" 16 Pathogenesis Cause conjunctivitis, pharyngitis, proctitis or urethritis, prostatitis, and orchitis. Cause meningitis and other forms of meningococcal disease such as meningococcemia, a life-threatening sepsis.